Laron syndrome is due to
1. Growth hormone insensitivity
2. Growth hormone deficiency
3. Paradoxical growth hormone deficiency
4. Growth failure due to Cushing syndrome

Correct answer: 1. Growth hormone insensitivity

Explanation: Laron syndrome is due to growth hormone receptor insensitivity.
Growth hormone levels are normal.